X-rays causes radiation damage primarily by their property of
1. Penetration
2. Radio activity
3. Electromagnetic induction
4. Ionisation

Correct answer: 4. Ionisation